Granuloma formation is seen in Hypersensitivity reaction type
1. I
2. II
3. III
4. IV

Correct answer: 4. IV

Explanation: (IV): (74- Harsh Mohan 6th edition)Type IV: Delayed Hypersensitivity (Cell Mediated Reaction)Examples1. Reaction against mycobacterial infection eg tuberculin reaction, granulomatous reaction in tuberculosis, leprosy2. Reaction against virally infected cells3. Reaction against malignant cells in the body4. Reaction against organ transplantation eg transplant rejection, graft versus host reactionType I (Anaphylactic, atopic) Type II (Cytotoxic) Type III (Immune- Complex, Arthus reaction)1. Systemic anaphylaxis (administration of antisera(ATS) and drugs (Penicilline) 1. Cytotoxic antibodies to blood cells (Auto immune haemolytic anaemia, Transfusion reactions, Erythroblastosis foctalis, ITP, Leucopcnia, drug induced (penicillin, methyl dopa, rifampicin) I. Immune complex glomerulonephritisII. Goodpasture's syndromeIII. Collagen disease (SLE, RA)IV. PANV. Drug induced vasculitis2. Local anaphylaxis (hay fever, bronchial asthma, food allergy, cutaneous, angioedema) 2. Cytotoxic antibodies to tissue components (Gravis disease, M.gravis, male sterility, Type I DM, Hyper acute reaction against organ transplant)